True regarding X ray production
1. Reducing the actual focal spot reduces the heat load on the target
2. Increasing the tube voltage increases the heat production at target
3. A rotating anode cannot take a higher heat load than a stationary anode
4. Increasing the target increases the target heat rating for a given effective spot size.

Correct answer: 2. Increasing the tube voltage increases the heat production at target

Explanation: Answer: b) Increasing the tube voltage increases the heat production at targetStatementExplanationReducing the actual focal spot reduces the heat load on the targetFalse. This results in the heat being spread over a reduced areaIncreasing the tube voltage increases the heat production at the targetTrue. Increasing the tube voltage increases the kinetic energy of the electrons, the majority of which is lost as heat on collision with the target.A rotating anode cannot take a higher heat load than a stationary anodeA rotating anode results in the heat being spread over a larger area and is oneof the methods used to reduce target heatingIncreasing the target angle increases the target heat rating for a given effective spot sizeFalse. The target angle is the angle between the target and the central photon beam.Reducing the target angle for a given spot size increases the area that the heat is spread over and therefore improves its heat rating.Increasing the target angle increases the effective focal spot